Hyperacute rejection is due to
1. Preformed antibodies
2. Cytotoxic T lymphocyte mediated injury
3. Endothelitis caused by donor antibodies
4. Circulating macrophage mediated injury

Correct answer: 1. Preformed antibodies

Explanation: Hyperacute rejection occurs when preformed anti-donor antibodies are present in the circulation of the recipient. Such antibodies may be present in a recipient who has previously rejected kidney transplant, Multiparous women, Prior blood transfusionsHyperacute Rejection occurs within minutes or hours after transplantation.Robbins pathology 9e Pg: 233